Gustafson's method is useful for determination of:
1. Age
2. Stature
3. Race
4. Sex

Correct answer: 1. Age

Explanation: Ans. Age